Following are the risk factors for pelvic organ prolapse except ?
1. Vaginal child birth
2. Hypoestrogenism
3. Constipation
4. Crohns disease

Correct answer: 4. Crohns disease

Explanation: Ans. is 'd' i.e., Crohns diseaseRisk factors associated with pelvic organ prolapse are :Pregnancy and vaginal deliveryMenopause (Aging, hypoestrogenism)Increased intra-abdominal pressure (COPD, constipation, obesity)Pelvic floor traumaGenetic factors (Race, connective tissue disorders)Spina bifida